True about nodes of ranvier
1. No myelin
2. Rich in sodium channels
3. Both
4. None

Correct answer: 3. Both

Explanation: Nodes of ranvier are seen in myelinated neurons They are not covered by myelin sheath and are rich in It leads to saltatory type of conduction Ref:Guyton and Hall textbook of medical physiology 12th edition,page number:72,73